Most common malignant tumour in childhood
1. Rhabdomyosarcoma
2. Leukemia
3. Lymphangioma
4. Neuroblastoma

Correct answer: 2. Leukemia

Explanation: Leukemia is the most common malignancy of childhood.There are two main subtypes,the commoner acute lymohoblastic leukemia(ALL) & acute myeloid leukemia(AML).A small proportion may have chronic myeloid leukemia(CML) and juvenile myelomonocytic leukemia(JMML).ALL is the most common childhood malignancy accounting for one-fourth of all childhood cancers. Reference:Essential pediatrics-Ghai,8th edition,page no:599.